Exclamation mark hairs are seen in:
1. Syphilis
2. Alopecia areata
3. Psoriasis
4. Dermatophytosis

Correct answer: 2. Alopecia areata

Explanation: Ans is 'b' i.e, Alopecia areata